All of following cause intravascular hemolysis, except
1. Mismatched blood transfusion
2. Paroxysmal cold hemoglobinuria
3. Thermal burns
4. Hereditary spherocytosis

Correct answer: 4. Hereditary spherocytosis

Explanation: Ans. is 'd' i.e., Hereditary spherocytosis